Shrinking lung syndrome is seen in -
1. SLE
2. Rheumatoid arthritis
3. Scleroderma
4. Sarcoidosis

Correct answer: 1. SLE

Explanation: Ans. is 'a' i.e., SLE o Shrinking lung syndrome is a rare complication of SLE and is characterized by diaphragmatic dysfunction/weakness.